Coagulation defects a/w ↑ed coagulation is seen in:
A) ↑ Protein C
B) ↑ Protein B
C) ↑ Anti Thrombin HE
D) Protein C resistance
E) Dysflbrtnogenemia
1. AC
2. BC
3. AB
4. DE

Correct answer: 4. DE

Explanation: Surgery
Orthopedic, thoracic, abdominal andgenitourinary procedures
Neoplasms
Pancreas, lung, ovary, testes, urinary tract, breast, stomach
Trauma
Fractures of spine, pelvis, femur, or tibia; spinal cord injuries
Immobilization
Acute myocardial infarction, congestive heart failure,stroke,postoperative convalescence pregnancy
Estrogen
For replacement of contraception;             
selective estrogen replacement modulators Hypercoagulable states
Resistance to activated protein C, prothrombin or2021OA gene mutation
deficiencies of antithrombin ill, protein C, or protein S; antiphospholipid antibodies; myeloproliferative diseases;
dysfibrinogenemia;
Venulitis
Thromboanglitis obliterans, behpet's disease, homocysteinuriaq
previous deep vein thrombosisldiopathic